Which of the following implant design is suitable for Division–C bone
1. Subperiosteal bone
2. Disk design implants
3. Ramus frame implant
4. All of the above

Correct answer: 4. All of the above

Explanation: Seven implant treatment options are available for Division C bone: 

Osteoplasty (C-w bone) before implant insertion 
Root-form implants 
Subperiosteal implants (C-h and C-a bone in mandible) 
Augmentation procedures 
Disk design implants (posterior mandible or anterior maxilla) 
Ramus frame implants (C-h bone, completely edentulous mandible) 
Transosteal implants (C-h bone anterior).